'C' peptide reflects:
1. Thyroxine
2. Parathormone
3. Insulin
4. Growth hormone

Correct answer: 3. Insulin

Explanation: (Insulin): Ref: 335-G, 337-SL (675- Ganong 23rd)Synthesis Insulin: - Synthesis of insulin occurs in rough endoplasmic reticulum of beta cells in islets of langer hans. It is synthesized as preprohormone that gives rise to proinsulin. Proinsulin undergoes a series of peptide cleavage leading to the formation of mature insulin and C peptide. C. Peptide is a connected peptide that connects alpha and beta chains. At the time of secretion, C peptide is detached* C-peptide can be measure by radioimmunoassay, and its level providers and index of B cell function in patients receiving exogenous insulin.* C-type natriuretic peptide (CNP) is present in the brain, the pituitary the kidney, and vascular endothelial cells.However, very little is present in the heart, and the circulation and it appears to be primarily a paracrine mediator. 670-G)